Which of the following causes decrease in BP?
1. Thromboxane A2
2. Vasopressin
3. NO
4. PGF2

Correct answer: 3. NO

Explanation: Determinants of BP are:Cardiac outputBlood volume Peripheral resistance Viscosity of blood Elasticity of vessel wall Peripheral resistance depends on the calibre of small arteries. So the state of constriction or dilation of these vessels determines the diastolic BP to a large extent.NO is a vasodilator and decreases BP. Vasopressin, Thromboxane A2 are vasoconstrictors and increases BP.Ref: Textbook of medical physiology by N Geetha, 2nd edition, page no. 177-182